Cyanosis is not seen in severe anemia because?
1. Anemic hemoglobin has greater oxygen carrying capacity per unit gram of hemoglobin
2. Critical concentration of reduced hemoglobin is required
3. Increased RBC number counter-balances the oxygen shortage
4. Blood flow through the skin is decreased in anemia

Correct answer: 2. Critical concentration of reduced hemoglobin is required

Explanation: Cyanosis is not seen in severe anemia because a critical concentration of reduced hemoglobin is required. Cyanosis Bluish discoloration of skin & mucous membranes due to an increased quantity of reduced Hb (i.e., deoxy Hb) or Hb derivatives (e.g., met Hb or sulfhemoglobin) in the small blood vessels. Cyanosis becomes apparent when the concentration of reduced hemoglobin in capillary blood > 4 g/dL. Absolute, rather than the relative, quantity of reduced Hb that is important in producing cyanosis. = In a patient with severe anemia, the relative quantity of reduced Hb in the venous blood may be very large, but the absolute quantity of reduced Hb is still small. = Therefore, patients with severe anemia & even marked arterial desaturation may not display cyanosis.